Most common cause of sudden death -
1. Ventricular fibrillation
2. Atrial fibrillation
3. PSVT
4. A-V block

Correct answer: 1. Ventricular fibrillation

Explanation: Ans. is 'a' i.e., Ventricular fibrillation Ventricular fibrillation is the most frequent mechanism of sudden cardiac death : - (accountsfor 60% of sudden death)o It is a rapid disorganized ventricular arryhthmia resulting in no uniform ventricular contraction, no cardiac output, and no recordable blood pressure.o Death from a ventricular tachyarryhthmia in the setting of an acute myocardial infarction has historically been one of the most frequent causes of sudden cardiac death.o 60% of the death associated with acute Ml occured within the first hour and were attributable to a ventricular arrhythmia.